Which of the following is not used in acute attack of severe pain due to gout ?
1. Indomethacine
2. Colchicine
3. Febuxostat
4. Corticosteroids

Correct answer: 3. Febuxostat

Explanation: Ans. is 'c' i.e., Febuxostat